Posterior lenticonus is seen in ?
1. Alport's syndrome
2. Lowe's syndrome
3. Marfan syndrome
4. Homocystinuria

Correct answer: 2. Lowe's syndrome

Explanation: Ans. is 'b' i.e., Lowe's syndrome Lenticonus refers to cone-shaped elevation of the anterior pole (anterior lenticonus) or posterior pole (posterior lenticonus) of the lens. Anterior lenticonus is seen in Alport's syndrome. Posterior lenticonus is seen in Lowe's syndrome. On distant direct ophthalmoscopy, lenticonus present as an oil globule lying in the center of red reflex. Slit-lamp examination confirms the diagnosis.